Which of the following will cause lathyrism?
1. Kesari dhal
2. Mung dhal
3. Jhunjunia seeds
4. Gondhli seeds

Correct answer: 1. Kesari dhal

Explanation: Ans: a (Kesari dhal) Ref: Park, 19th ed, p. 512, 524Kesari dhal consumption leads to lathyrism.Toxic principle in kesari dhal is beta oxalyl amino alanine (BOAA).Diet containing over 30% of this dhal if taken over a period of 2-6 month will result in eurolathyrism.The disease mainly affects young males and manifests itself in stages.Interventions:Vitamin C prophylaxisBanning the cropRemoval of toxin - steeping method and parboilingEducationGenetic approachEndemic ascites - Panicum miliare (Gondhli) which gets contaminated with the seeds of crotalaria (Jhunjhunia), which contain pyrrolizidine alkaloids which are hepatotoxic.Epidemic dropsy - Due to ingestion of mustard oil contaminated with argemone oil which contains sanguinarine.Clinical features of epidemic dropsy include:* Swelling of legs* Diarrhoea* Cardiac failure* Glaucoma.The toxic substance interferes with the metabolism of pyruvic acid leading to its accumulation.